Phobia is defined as
1. Palpitation on thinking about a definite entity
2. Excessive unreasonable fear about a specific situation
3. Perception without stimulation
4. Altered perception

Correct answer: 2. Excessive unreasonable fear about a specific situation

Explanation: Phobia is defined as an irrational fear of a specific object, situation or activity, often leading o persistent avoidance of the feared object, situation or activity. Common types Agoraphobia Social phobia Specific phobia (Ref: A short textbook of psychiatry, Niraj Ahuja,7th edition, pg no 92)